Normal anion-gap metabolic acidosis is seen in -
1. Addison's disease
2. Diabetic ketoacidosis
3. Renal failure
4. lactic acidosis

Correct answer: 1. Addison's disease

Explanation: The normal value for the serum anion gap is 8-16 mEq/L. However, there are always unmeasurable anions, so an anion gap of less than 11 mEq/L using any of the equations listed in Description is considered normal. For the urine anion gap, the most prominently unmeasured anion is ammonia. Seen in Addison's disease Ref Davidson 23rd edition pg 364